Child with conduct disorder is prone to develop which personality disorder?
1. Antisocial
2. Avoidant
3. Dependent
4. Anankastic

Correct answer: 1. Antisocial

Explanation: Conduct disorder - Persistent pattern of antisocial behavior in which the individual repeatedly breaks social rules and carries out aggressive acts.in conduct disorder they do it deliberately usually characterized by aggression and violation of the rights of others boys with conduct disorder show physical & relationship aggression but in girls relationship aggression is more predominant than physical aggression children with conduct disorder usually have behaviors characterized by aggression to persons or animals, destruction of property, deceitfulness or theft, and multiple violations of rules, such as truancy from school child with conduct disorder is prone to develop personality disorder and substance abuse